A deficiency of which of the following cells can predispose to candidiasis
1. Eosinophils
2. Macropages
3. Plasma cells
4. T Lymphocytes

Correct answer: 4. T Lymphocytes